One of the criteria of an ideal occlusion in natural 
dentition is:
1. Maximum contacts on the tips of the cusps only
2. Disocclusion of anterior teeth during mandibular protrusion
3. Disocclusion of posterior teeth on the non working side in lateral excursion
4. Occlusion of posterior teeth during mandibular protrusion

Correct answer: 3. Disocclusion of posterior teeth on the non working side in lateral excursion